Which of the following is the best marker to predict future cardiac events
1. hs CRP
2. Homocystine
3. Interleuken-6
4. All

Correct answer: 1. hs CRP

Explanation: Answer is A (hs CRP) hs CRP which is a serum marker of systemic inflammation has emerged as a major risk factor marker for future cardiovascular events